Source of epistaxis after ligation of external carotid artery is -
1. Maxillary artery
2. Greater palatine artery
3. Superior labial artery
4. Ethmoidal artery

Correct answer: 4. Ethmoidal artery

Explanation: Nose is Supplied by